Mutations are due to changes in:
1. DNA nucleotide sequence
2. RNA nucleotide sequence
3. Amino acid sequence of ribonuclease
4. Cell walls

Correct answer: 1. DNA nucleotide sequence